Formula to calculate sensitivity of a screening test ?
1. True positive/true positive + false negative
2. True negative/true positive + false negative
3. True positive/true negative + false positive
4. True negative/true negative + false positive

Correct answer: 1. True positive/true positive + false negative

Explanation: Ans. is 'a' i.e., True positive/true positive + false negative